Which is not seen in Tumour lysis Syndrome?
1. Hypophosphatemia
2. Hypocalcemia
3. Hyperuricemia
4. Hyperkalemia

Correct answer: 1. Hypophosphatemia

Explanation: TUMOR cells with very high rate ||| of growth - during Chemo Therapy - large no of cells are dyinge TUMOR cell lysis syndrome. i.e. Summary- components of Tumor-Lysis Syndrome HYPERKALEMIA HYPERURICEMIA HYPERPHOSPHATEMIA HYPOCALCEMIA